Antidote for opioid poisoning;
1. Naloxone
2. Pethidine
3. Flumazenil
4. Physostigmine

Correct answer: 1. Naloxone

Explanation: Naloxone is an opioid antagonist given intravenously. It blocks mu, kappa and delta receptors. It is the DOC for opioid toxicity. is given parenterally (ineffective orally) and is a very short acting drug. Pethidine (Meperidine)- fully agonist at opiod receptors Flumazenil-Flumazenil is specific antidote for benzodiazepines. Physostigmine - it is a lipid soluble anticholinesterase. It is the specific antidote for poisoning with belladonna.